Antibody shown to be useful for Crohn's Disease is:
1. Omalizumab
2. Palivizumab
3. Natalizumab
4. None of the above

Correct answer: 3. Natalizumab

Explanation: Answer is C (Natalizumab) Natalizumab is a monoclonal antibody shown to be useful .far Crohn's Disease. Natalizumab is a recombinant humanized immunoglobulin G4 Antibody (IgG4 Monoclonal Antibody) against alpha 4 integrins that is effective in the induction and maintenance of remission in Crohn's Disease patients. It has been approved for the treatment of patients with Crohn's disease refractory to intolerant to anti-TNF Therapy. Omalizumab is used for Bronchial Asthma (Allergic Bronchial Asthma) Palivizuntab is used in infection with Respiratory Syncytial Virus (RSV) Note Natalizumab therapy has been associated with the development of multifocal leukoencephalopathy, a predominantly fatal infection of the central nervous system by the JC polyomavius. This risk appears to be I in 1,000 patients, particularly those receiving treatment with several immunosuppressive agents.